Under NMEP, the function of fever depot treatment is –
1. Diagnosis of cases + spraying
2. Collection of slides + treatment of fever
3. Treatment of fever cases only
4. Treatment + slide collection + spraying

Correct answer: 2. Collection of slides + treatment of fever

Explanation: Drug Distribution centers and fever treatment depots were established under NMEP with increasing number of malaria cases.

Fever Treatment Depots
FTD holder given training at PHC

Collection of blood smears
Giving presumptive treatment
Impregnation of bed nets
Promotion of larvivorous fishes 

Drug Distribution Centers
DDC established (if no FTD)

Giving presumptive treatment
Impregnation of bed nets
Promotion of larvivorous fishes